Which of the following is not an indication of amniocentesis for chromosomal detection:
1. Gestation diabetes mellitus
2. Previous Down's child
3. Maternal age more than 35
4. Parents with chromosomal anomaly

Correct answer: 1. Gestation diabetes mellitus

Explanation: Gestational diabetes milletus is not an indication of amniocentesis.The absolute indication of amniocentesis are chromosomal disorders like trisomy21,diagnosis of neural tube defects. Refer page no 502 of Text book of obstetrics ,sheila balakrishnan,2 nd edition. According to ACOG(2012) invasive testing is offered to women 1.age>35 years. 2.previous affected baby 3. antenatal sonography indicationg fetal risk of sonography 4. partner or pregnant mother carrying robertsonian translocations 5. abnormal test results in first and second trimester/combined screening Reference: William's Textbook of Obstetrics 24th edition page no 292